According to the WHO, what is the minimum bacteriological standard for drinking water
1. All the samples should not contain coliform organisms
2. 3 consecutive samples of water should not contain any coliforms
3. 3 coliforms in a 100 ml water
4. 1 coliform in a 100 ml water

Correct answer: 1. All the samples should not contain coliform organisms

Explanation: (A) All the samples should not contain coliform organisms > All water intended for drinking, E. coli or thermotolerant coliform must not be detectable in any 100 ml sample / bacteria